Mulberry nasal mucosa is seen in -
1. Lupus vulgaris
2. Vasomotor rhinitis
3. Atrophic rhinitis
4. None

Correct answer: 2. Vasomotor rhinitis

Explanation: Ans. is 'b' i.e., Vasomotor rhinitiso Vasomotor is a nonallergic condition that involves a constant runny nose, sneezing and nasal congestion, i.e., the nose is stuffy or runny for reasons other than allergies and infections. The exact etiology is unknown, but triggers include emotions, odors, poor air quality, spicy foods, and medication side effects. Pathogenesis include : -Parasympathetic overactivityHyperactive nasal mucosa to several non-specific stimuli especially in women of20-40 years.o Symptoms of vasomotor rhinitis include excessive clear rhinorrhoea, nasal obstruction/congestion, irritation, paroxysmal sneezing and post-nasal drip. Nasal mucosa is hypertrophied & congested; and mucosa of turbinates may give mulberry like appearance and is pale to dusky red in colour.o Complications of vasomotor rhinitis include hypertrophic rhinitis & sinusitis, and nasal polyp.o Mulberry nasal mucosa is also seen in chronic hypertrophic rhinitis.